The cartilage present in Ear Pinna is:
1. Yellow
2. Elastic
3. Fibrocartilage
4. None

Correct answer: 2. Elastic

Explanation: Elastic